Tram like calcifications are seen in
1. Hemangioma
2. Neurofibromatosis
3. Fibrous dysplasia
4. All of the above

Correct answer: 1. Hemangioma

Explanation: Tram – like calcifications are seen in hemangioma. Bilamellar radioopaque tracks are called as tram like calcifications.